Pulsation of uvula with every heart beat in severe aortic regurgitation is called:
1. Becker’s sign
2. Landolfi’s sign
3. Muller’s sign
4. Rosenbach sign

Correct answer: 3. Muller’s sign

Explanation: Lighthouse sign (blanching & flushing of forehead) 
de Musset's sign (head nodding in time with the heart beat) 
Landolfi's sign (alternating constriction & dilatation of pupil) 
Becker's sign (pulsations of retinal vessels) 
Müller's sign (pulsations of uvula) 
Quincke's sign (pulsation of the capillary bed in the nail) 
Mayne's sign (diastolic drop of BP>15 mm Hg with arm raised) 
Watson's water hammer pulse= large-volume, 'collapsing' pulse or Corrigan's pulse 
Rosenbach's sign (pulsatile liver) 
Gerhardt's sign (enlarged spleen) 
Traube's sign (a 'pistol shot' systolic sound heard over the femoral artery) 
Duroziez's sign (systolic and diastolic murmurs heard over the femoral artery when it is gradually compressed with the stethoscope) 
Hill's sign - a ≥ 60 mmHg difference in popliteal and brachial systolic pressures 
Lincoln sign (pulsatile popliteal artery) 
Sherman sign (dorsalis pedis pulse is unexpectedly prominent in age>75 yr)